The function of myenteric plexus is mainly
1. Sympathetic
2. Motor
3. Mixed
4. Parasympathetic

Correct answer: 2. Motor

Explanation: Enteric Nervous System (ENS)

Organized into ganglia interconnected by 2 plexuses:

— Outer myenteric  (Auerbach's) plexus found along entire length of GI tract
— Inner submucosal (Meissner's) plexus located only in small and large intestine

ENS contains 100 million neurons and similar diversity of neurotransmitters as CNS

— Has interneurons, sensory, autonomic ganglia.
— Peristalsis is controlled by ENS
NOTE:

Myenteric plexus is primarily concerned with motor control of longitudinal and circular muscles.
Meissner plexus is mainly involved in intestinal secretions.